The following component of management protocol of status asthmaticus has now been shown to be useless
1. Intravenous aminophylline
2. Intravenous hydrocortisone
3. Nebulized ipratropium bromide
4. Nebulized salbutamol

Correct answer: 1. Intravenous aminophylline

Explanation: Status asthmaticus/Refractory asthma Any patient of asthma has the potential to develop acute severe asthma which may be life-threatening. Upper respiratory tract infection is the most common precipitant. Treatment of status asthmaticus:- (i) Hydrocortisone hemisuccinate 100 mg (or equivalent dose of another glucocorticoid) i.v. stat, followed by 100-200 mg 4-8 hourly infusion; may take upto 6 hours to act. (ii) Nebulized salbutamol (2.5-5 mg) + ipratro pium bromide (0.5 mg) intermittent inhalations driven by O2. (iii) High flow humidified oxygen inhalation. (iv) Salbutamol/terbutaline 0.4 mg i.m./s.c. may be added, since inhaled drug may not reach smaller bronchi due to severe narrowing/ plugging with secretions. (v) Intubation and mechanical ventilation, if needed. (vi) Treat chest infection with intensive anti biotic therapy. (vii) Correct dehydration and acidosis with saline + sod. bicarbonate/lactate infusion Ref:- kd tripathi; pg num :-233